Another name for encephalotrigeminal angiomatosis is
1. Rendu-osler weber syndrome
2. Sturge weber syndrome
3. Beckwidth weidmann syndrome
4. Cushing syndrome

Correct answer: 2. Sturge weber syndrome